Mechanism of action of statins:
1. HMG-CoA synthase stimulator
2. HMG-CoA reductase stimulator
3. HMG-CoA synthase inhibitor
4. HMG-CoA reductase inhibitor

Correct answer: 4. HMG-CoA reductase inhibitor

Explanation: Ans. D i.e. HMG-CoA reductase inhibitor Statins used to lower cholesterol levels, acts by inhibiting the enzyme HMG-CoA reductase